A child with schizophrenia was on medications. Suddenly he developed neck stiffness & spasm. What is most probable cause?
1. Conversion disorder
2. Acute dystonia
3. Akathisia
4. Tardive dyskinesia

Correct answer: 2. Acute dystonia

Explanation: Ans. is'b'i.e., Acute dystonia[Ref: Kaplan & sadock's p 992